Which of the following mucopolysaccharidosis present with clear cornea?
1. Hurler disease
2. Hunter disease
3. Scheie disease
4. Morquio disease

Correct answer: 2. Hunter disease

Explanation: Hunter's disease and sanfilippo disease present with clear cornea.